Chemical plaque control
1. is an effective replacement for mechanical plaque control
2. is especially recommended after periodontal surgery
3. is best achieved using cetylpyridium chloride mouth washes
4. is of no use

Correct answer: 2. is especially recommended after periodontal surgery